Battle sign is positive if bruise is present in
1. Orbital region
2. Occipital region
3. Mastoid region
4. Neck region

Correct answer: 3. Mastoid region

Explanation: Battle's sign: Bruising/ecchymosis over the mastoid process in the line of posterior auricular artery. It is an indication of fracture of middle cranial fossa of the skull, and may suggest underlying brain trauma